The following is true of vancomycin EXCEPT:
1. It is a bactericidal antibiotic active primarily against gram positive bacteria
2. It acts by inhibiting bacterial protein synthesis
3. It is an alternative to penicillin for enterococcal endocarditis
4. It can cause deafness as a dose related toxicity

Correct answer: 2. It acts by inhibiting bacterial protein synthesis

Explanation: (Ref: KDT 6/e p732) Vancomycin is a glycopeptide that acts by inhibiting bacterial cell wall synthesis. It is a bactericidal drug (like other cell was synthesis inhibitors). It is the drug of choice for MRSA and enterococci resistant to penicillins Nephrotoxicity, ototoxicity and red man syndrome are prominent adverse effects of vancomycin.